All of the following statements about Sibson's fascia are true, expect
1. A) It is attached to transverse process of c7
2. B) Subclavian artery arches over it
3. C) Attached to the cervical pleura
4. D)extension of tendinous insertion of scalenus anterior

Correct answer: 4. D)extension of tendinous insertion of scalenus anterior

Explanation: Sibson's fascia or suprapleural membrane is triangular in shape. Its apex is attached to the tip of the transverse process of the seventh cervical vertebra and the base to the inner border of the first rib and its cartilage. Morphologically it is regarded as the flattened tendon of the scalenus minimus (pleuralis) muscle.The inferior surface of the membrane is fused to the cervical pleura, beneath which lies the apex of the lung. Its superior surface is related to the subclavian vessels and other structures at the root of the neck . Ref:- BD chaurasia volume 1, pg num:-183